Sensory nerve supply of middle ear cavity is provided by
1. Facial
2. Glossopharyngeal
3. Vagus
4. Trigeminal

Correct answer: 2. Glossopharyngeal

Explanation: The nerve supply of middle ear is derived from tympanic plexus which lies over the promontory.
The inferior ganglion of the glossopharyngeal nerve gives off the tympanic nerve which enters the middle ear through the tympanic canaliculus and takes part in formation of the tympanic plexus on the medial wall of middle ear.
This distributes it fibres to the middle ear, and also to the auditory tube, aditus ad atrum mastoideum (aditus to mastoid antrum).